Autoimmune hemolytic anemia is seen in:
1. ALL
2. AML
3. CLL
4. CML

Correct answer: 3. CLL

Explanation: The diagnosis of CLL can usually be made on the basis of physical findings and blood smear examination. 
I. BLOOD PICTURE:
The findings of routine blood picture are as under: 
1. Anaemia: Anaemia is usually mild to moderate and normocytic normochromic in type. Mild reticulocytosis may be present. About 20% of cases develop a Coombs'-positive autoimmune haemolytic anaemia.  
2. White blood cells: Typically, there is marked leucocytosis, but less than that seen in CML (50,000-200,000/pl). Usually, more than 90% of leucocytes are mature small lymphocytes. Smudge or basket cells (degenerated forms) are present due to damaged nuclei of fragile malignant lymphocytes. The absolute neutrophil count is, however, generally within normal range. Granulocytopenia occurs when disease is fairly advanced. 
3. Platelets: The platelet count is normal or moderately reduced as an autoimmune phenomenon. 
Mohan H. Textbook of pathology. Jaypee Brothers Medical Publishers; 2015. Edition 7. Page 355